True about Richter's hernia
1. Meckles diverticulum is content
2. Only part of bowel wall enters hernia
3. Appendix is the content
4. Viscus forms the wall of the hernia

Correct answer: 2. Only part of bowel wall enters hernia

Explanation: In Richter's hernia, only part of the bowel wall enters the hernia. Bowel obstruction may not be present but the bowel wall may still become necrotic and perforate.In sliding hernia, viscus forms the wall of the herniaIn Littre's hernia, Meckel's diverticulum is the content.In Amyand's hernia, appendix is the content.Ref: Bailey and love 27e pg: 1024